Basanti, a 28yrs aged female with a history of 6 weeks of amenorrhea presents with pain in abdomen; USG shows fluid in pouch of douglas. Aspiration yields dark colour blood that fails to clot. Most probable diagnosis is:
1. Ruptured ovarian cyst
2. Ruptured ectopic pregnancy
3. Red degeneration of fibroid
4. Pelvic abscess

Correct answer: 2. Ruptured ectopic pregnancy

Explanation: Aspiration of blood clots or dark coloured blood that fails to clot, signifies collection of intraperitonial blood. Pain in abdomen and blood in pouch of doglas in a woman of child bearing age (28yrs) with history of 6 weeks amenorrhea suggests a diagnosis of ruptured ectopic pregnancy. Ref: Ultrasound in Obstetrics and Gynecology, Volume 1 By Eberhard Merz, F. Bahlmann, 2004, Page 73 ; Management of Common Problems in Obstetrics and Gynecology Edited By T. Murphy Goodwin, Main N. Montoro, Laila Muderspach, Richard Paulson, Subir Roy, 2010, Page 275 ; Textbook of Obstetrics By D.C.Dutta, 5th Edition, Page 197